Which of the following compounds acts as a benzodiaz epine antagonist?
1. Flumazenil
2. Naloxone
3. Furazolidone
4. Naltrexone

Correct answer: 1. Flumazenil

Explanation: A specific BZD antagonist flumazenil is used for BZD poisoning ,it is a BZD analogue which has little intrinsic activity (no effect on normal subject), but competes with BZD agonist as well as inverse agonist for BZD receptor &reverse its effect . Ref: KD tripathi 8th ed.